Glomus jugulare commonly arises from ?
1. Hypotympanum
2. Mesotympanum
3. Epitympanum
4. Prussaks space

Correct answer: 1. Hypotympanum

Explanation: Ans. is 'a' i.e., Hypotympanum There are two types of glomus tumors:- i) Glomus jugulare These glomus tumors arise from the dome of the internal jugular vein in the hypotympanum and jugular foramen. In jugular foramen they can invade IX to XII cranial nerves. ii) Glomus tympanicum They arise from the promontory of the middle ear along the course of the tympanic branch of the IXth cranial nerve.